Dysphagia lusoria is by:
1. Neural anomaly
2. Malabsrption
3. Vascular anomaly
4. Any

Correct answer: 3. Vascular anomaly

Explanation: Ans. (c) Vascular anomalyRef Internet source* Aberrant right subclavian artery arising from descending aortic arch is associated with dysphagia.* There is posterior esophageal compression